Multiple sclerosis is a
1. Demyelinating disease
2. Infective lesion
3. Peripheral nervous system disorder
4. Associated with systemic illness

Correct answer: 1. Demyelinating disease

Explanation: (A) Demyelinating disease # MULTIPLE SCLEROSIS (MS) is characterized by a triad of inflammation, demyelination, and gliosis (scarring); the course can be relapsing-remitting or progressive.> Lesions of MS are typically disseminated in time and location.> Demyelinating disorders are characterized by inflammation and selective destruction of central nervous system myelin.> Peripheral nervous system is spared, and most patients have no evidence of associated systemic illness.